Renal Calculi associated with Proteus infection is
1. Uric Acid
2. Triple Phosphate
3. Calcium oxalate
4. Xanthine

Correct answer: 2. Triple Phosphate

Explanation: Phosphate calculus Phosphate calculus is smooth and dirty whiteIt tends to grow in alkaline urine, especially when urea-splitting Proteus organisms are present; As a result, the calculus may enlarge to fill most of the collecting system, forming a staghorn calculusStaghorn calculus may be clinically silent for years and may present with haematuria, urinary infection or renal failure(Ref: Harrison's 18/e p2387; Bailey 26/e p1293)